Which of the following drugs has a high affinity for 5-HT2 receptors in the brain, does not cause extrapyramidal dysfunction or hematotoxicity, and is reported to increase the risk of significant QT prolongation?
1. Chlorpromazine
2. Clozapine
3. Olanzapine
4. Ziprasidone

Correct answer: 4. Ziprasidone

Explanation: Ziprasidone can cause QT prolongation leading to torsades de pointes especially in the presence of predisposing factors/drugs. Clozapine, olanzapine and ziprasidone are atypical antipsychotic agents that act by blocking 5HT2 receptors. Chlorpromazine is a typical antipsychotic drug. It blocks D2 receptors in the brain and can cause extrapyramidal symptoms. Major adverse effect of clozapine is agranulocytosis (hematotoxic) and seizures. Olanzapine causes weight gain.(have the highest metabolic risk) Ziprasidone: is an Atypical Antipsychotic Ziprasidone has low propensity to cause extra pyramidal side effects or hyper-prolactinemia, mildly sedating,modest hypotension,little weight gain,little blood sugar elevation. Indication- Schizophrenia,Mania,anxiolytic and antidepressant property